Enzyme Transketolase requires ?
1. FAD
2. TPP
3. PLP
4. FMN

Correct answer: 2. TPP

Explanation: Transketolase reactions require thiamine pyrophosphate (TPP).Coenzyme can be classified according to the group whose transfer they facilitate.a) For transfer groups other than hydrogen :- Sugar phosphate, CoA-SH, thiamine pyrophosphate (TPP), Pyridoxal phosphate, Folate, Biotin.b) For transfer of hydrogen : - NAD+, NADP+, FMN, FAP, Lipoic acid,Coenzyme Q.